Most common strain of E.coli giving rise to traveller's diarrhea is -
1. Entero-invasive E.coli (EICE)
2. Entero-pathogenic E.coli (EPE
3. Entero-toxigenic E.coli (ETEC)
4. Entero-aggregative E.coli (EAEC)

Correct answer: 3. Entero-toxigenic E.coli (ETEC)

Explanation: Ans. is 'c' i.e.t Entero-toxigenic E.coli [Ref: Ananthanarayan 8th/e p. 276 & 7th/ep. 278;Harrison 18th/e p. 1087 table (128.3) & 17th/e p. 815Jo Entero-toxigenic E.coli is the most common cause of traveller's diarrhea.o Other organisms causing travellers diarrhea are:o Enteroaggregative E.colio Vibrio choleraeo Shigellao Rotavirus and Norwalk-like vineso Salmonellao Entamoeba histolyticao Compylobacter-jejunio Giardia lambliao Aeromonaso Cryptosporidiumo Plesiomonaso Cyclospora